A 24-yar old male, known epileptic, presented following a seizure with pain in the right shoulder region. Examination revealed that the right upper limb was adducted and internally rotated and the movements could not be performed. Which of the following is the most likely diagnosis?
1. Posterior dislocation of shoulder
2. Luxatio erecta
3. Intrathoracic dislocation of shoulder
4. Subglenoid dislocation of shoulder

Correct answer: 1. Posterior dislocation of shoulder

Explanation: Information in this question are Seizure episode Adduction and internal rotation deformity Diagnosis is posterior dislocation of shoulder Shoulder Dislocation The shoulder joint is called a ball-and-socket joint. The ball is the rounded top of the bone in the upper arm (humerus), which fits into the socket -- the cup-shaped outer part of the shoulder blade. When the top of the humerus moves out of its usual location in the shoulder joint, the shoulder is said to be dislocated. A related injury called a shoulder subluxation occurs when the top of the humerus is only partially displaced and not totally out of its socket Posterior Dislocation The top of the humerus is displaced toward the back of the body. most likely to be related to seizures and electric shock. Posterior dislocations also can happen because of a fall on an outstretched arm or a blow to the front of the shoulder. Light bulb sign: Humeral head looks rounded on AP view and posterior to the glenoid fossa on axillary view Empty glenoid sign: Increased distance between the articular surface of humeral head and anterior glenoid Normal range: o-6mm * Through defect: Curved dense line, indicating impaction fracture of the antero-medial surface of the humeral head Refer Maheshwari 9th ed p 89